Onion peel appearance on radiograph is not seen in
1. Garre's osteomyelitis
2. Ewing's sarcoma
3. Osteogenic sarcoma
4. Fibrous dysplasia

Correct answer: 4. Fibrous dysplasia

Explanation: Fibrous dysplasia- 
The normal radiolucent maxillary sinus may be partially or totally replaced by the increased radiopacity of  this lesion. The degree of radiopacity depends on its stage of development and the relative amounts of bone and fibrous tissue present. Usually the radiopaque areas have a uniform characteristic ground-glass appearance on extraoral images or an orange-peel appearance on intraoral views. Onion-peel appearance is not seen in this condition.
White and Pharoah, 7th ed, pg- 485